Cutting of the pituitary stalk decreases all of the following hormones except-
1. ACTH
2. GH
3. Prolactind
4. FSH

Correct answer: 3. Prolactind

Explanation: PRL has inhibitory control mechanism.after pituitary stalk section there is spontaneous PRL hyper secretion ( Harrison 17 pg 2204 )